The predominant constituent of the pale yellow gall stones in the gall bladder is -
1. Mucin glycoprotein
2. Calcium carbonate
3. Cholesterol
4. Calcium phosphate

Correct answer: 3. Cholesterol